Erythema marginatum is seen in :
1. Drug reactions
2. Typhoid fever
3. Enteric fever
4. Rheumatic fever

Correct answer: 4. Rheumatic fever

Explanation: D i.e. Rheumatic fever